MgCl2 is added to polio vaccine because of the following -
1. Potentiates the vaccine
2. Vaccine can be kept at higher temperatures
3. Preservative
4. None of the above

Correct answer: 2. Vaccine can be kept at higher temperatures

Explanation: molar MgCl2 is used to dtabilise the vaccine against heat inactivation REF:ANATHANARAYANAN MICROBIOLOGY NINTH EDITION PAGE.488